An evidence that splenectomy might benifit a patient with idiopathic thrombocytopenic purpura includes which of the following ?
1. A significant enlargement of the spleen
2. A high reticulocyte count
3. Patients age less than five years
4. An increase in platelet count on corticosteroid therapy

Correct answer: 4. An increase in platelet count on corticosteroid therapy